Which inhibits gastric secretion ?
1. Secretin
2. Insulin
3. High gastric pH
4. Calcium

Correct answer: 1. Secretin

Explanation: A i.e. Secretin Gastrin is a hormone which is produced by G-cells in the lateral wall of glands in the antral portion of gastric mucose. It is also found in pancreatic islets in fetal life, gastrinomas of pancreas, and pituitary glandQ, hypothalamus, medulla oblongata and in vagus & sciatic nerves.